Best treatment for gas gangrene
1. Surgical debridement
2. Debridement with tetanus toxin
3. Debridement with iv penicillin
4. Debridement with polyvalent antitoxin

Correct answer: 3. Debridement with iv penicillin

Explanation: "High-dose penicillin G and clindamycin, along with third-generation cephalosporins, should be given intravenously until the patient's toxicity abates. The mainstay of management is early surgical excision of the necrotic tissue " Bailey and love 26th edition Pg 430